Features of pulmonary venous hypertension are A/E–
1. Perihilar haze
2. Peribroncheal cuffing
3. Upper lobar diversion
4. Uniformly branching lines parallel to pleura

Correct answer: 4. Uniformly branching lines parallel to pleura

Explanation: Radiological findings of PVIER :- Prominent upper lobe vessels (due to diversion of blood to upper lobe veins), cephalization of pulmonary vascularity, peribronchial cuffing, Kerley B lines (due to interlobar septal thickening), Perihilar haze, Alveolar edema, pleural effusion, Ground glass appearance of lung, Pulmonary ossicle and fine nodularity.